Antidote for ethylene glycol poisoning is/are: a) Methyl violet b) Fluconazole c) Fomepizole d) Ethyl alcohol
1. ac
2. cd
3. ad
4. bc

Correct answer: 2. cd